Which of the following is ovary determining gene
1. SRY
2. WNT - 4
3. SOX - 9
4. DAX 1

Correct answer: 2. WNT - 4

Explanation: WNT - 4 is ovary determining gene.